The corpus luteum of menstruation presents for:
1. 5 days
2. 10 days
3. 14 days
4. 30 days

Correct answer: 3. 14 days

Explanation: 14 days